A 30-yr-old male had severely itchy papulovesicular lesions over the extremities, knees, elbows and buttocks for one year. Direct immunofluorescence staining of lesions showed IgA deposition in papillary dermis in granular pattern . The most probable diagnosis is:
1. Pemphigus vulgaris
2. Bullous pemphigoid
3. Dermatitis herpetiformis
4. Nummular eczema

Correct answer: 3. Dermatitis herpetiformis

Explanation: Dermatitis herpetiformis C/F : Itchy papulovesicular lesions of the extremities, knees, elbows and buttocks. DIF : IgA deposition at papillary dermis in granular pattern known as picket fence appearance.